Tylectomy literally means-
1. Excision of a lump
2. Excision of LN
3. Excision of breast
4. Excision of skin

Correct answer: 1. Excision of a lump

Explanation: Lumpectomy (Tylectomy): Surgical procedure designed to remove a discrete lump.